A child with pigment dilution of skin and eyes, hemorrhagic diathesis, ceroid deposition within the reticuloendothelial system has:-
1. Bloom syndrome
2. Hermansky pudlak syndrome
3. Alezzandrini syndrome
4. Vogt-koyanogi syndrome

Correct answer: 2. Hermansky pudlak syndrome

Explanation: Hermansky-Pudlak syndrome Oculocutaneous albinism Ceroid accumulation in lysosomes Prolonged bleeding time. Bloom syndrome : Erythema and telangiectasia on face after exposure to sunlight Immunodeficiency, GI malabsorption and hypogonadism are common. Alezzandrini syndrome: Deafness Vitiligo Poliosis Vogt-Koyanagi-Harada syndrome: Vitiligo associated with uveitis Dysacusia Meningoencephalitis